Monoclonal antibody to IL–5 is :
1. Mepolizumab
2. Omalizumab
3. Keliximab
4. Altrakincept

Correct answer: 1. Mepolizumab